Macular differentiation occurs at the age of
1. 2 - 4 months
2. 6 - 8  months
3. 4 - 6 months
4. 5 - 7 years

Correct answer: 3. 4 - 6 months

Explanation: Macular differentiation occurs at the age of 4 - 6 months.